Binswanger disease refers to?
1. Subcortical arteriosclerotic encephalopathy
2. Hippocampal atrophy
3. Multiple cortical infarcts
4. Extrapyramidal dementia

Correct answer: 1. Subcortical arteriosclerotic encephalopathy

Explanation: Ans ABinswanger disease is also known as subcortical leukoencephalopathy and subcortical arteriosclerotic encephalopathy. It is small vessel ischemia related dementia caused commonly by chronic hypertension or old age.